Which of the following has a Direct role in Apoptosis.
1. NO
2. Adenyl cyclise
3. C AMP
4. Cytochrome C

Correct answer: 4. Cytochrome C

Explanation: Cytochrome C